Most important prognostic factor for carcinoma breast is
1. Lymph node involvement
2. Tumor size
3. Chest wall involvement
4. Skin involvement

Correct answer: 1. Lymph node involvement

Explanation: Spread to axillary nodes is the most important prognostic indicator. Other prognostic factors are Age: Younger the age worser the prognosis. Sex: Carcinoma male breast has got worser prognosis compared to female breast. Because of early spread in carcinoma male breast. Stage I and II has got better prognosis. Atrophic scirrhous has got best prognosis. Medullary carcinoma has got better prognosis than scirrhous carcinoma because of lymphocytic infi ltration. Invasive carcinoma has got worser prognosis. Inflammatory carcinoma breast has worst prognosis. Ref; (page no;559 ) 5th edition of SRB'S manual of Surgery